Tensors of the vocal cords are?
1. Posterior cricoarytenoid , internal interarytenoid
2. Lateral cricothyroid, internal interarytenoid
3. Thyroarytenoid, internal interarytenoid
4. Cricothyroid and internal thyroarytenoid

Correct answer: 4. Cricothyroid and internal thyroarytenoid

Explanation: ANSWER: (D) Cricothyroid and internal thyroarytenoid REF: Dhingra 4th ed p. 259 Intrinsic muscles acting on vocal cords: Abductors: Posterior cricoarytenoid Adductors: Lateral cricoarytenoid, Interarytenoid (transverse arytenoid) Thyroarytenoid (external part) Tensors: Cricothyroid, Vo calls (internal part of thyroarytenoid) Intrinsic muscles acting on laryngeal inlet: Openers of laryngeal inlet: Thyroepiglottic (part of thyroarytenoid) Closers of laryngeal inlet: Interarytenoid (oblique part), Aryepiglottic (posterior oblique part of inter arytenoid)